Fat-soluble vitamins, compared with their water soluble counterparts. generally have a greater potential toxicity for because they are
1. Administeicd in larger doses
2. Avidly stored by the body
3. Capable ot dissolving membrane phospholinids
4. Involved in more essential metabolic pathways

Correct answer: 2. Avidly stored by the body

Explanation: Fat soluble vitamins, especially A and D, can be stored in massive amounts and hence, have a potential for serious toxicities. Water soluble vitamins are easily excreted by the kidney and accumulation to toxic levels is much less common. Conversely, inadequate dietary intake will lead to manifestations of deficiency relatively faster.